Which of the following investigation would be diagnostic of cystic fibrosis?
1. Deficiency of the enzyme mucinase
2. High sweat chloride content
3. Alpha-1 aldolase deficiency
4. Increased copper excretion in urine

Correct answer: 2. High sweat chloride content

Explanation: A sweat test measures the amount of chloride, a part of salt, in Sweat. It is used to diagnose cystic fibrosis (CF). People with CF have a high level of chloride in their sweat. CF is a disease that causes mucus build-up in the lungs and other organs. It damages the lungs and makes it hard to breathe Ref Davidson 23rd edition pg 944